Which of the following is NOT TRUE about Campylobacter jejuni?
1. Most common cause of campylobacteriosis
2. Poultry is the cause of disease
3. Human is the only reservoir
4. Cause of Guillain Barre syndrome

Correct answer: 3. Human is the only reservoir

Explanation: This is the most important campylobacter species as it causes attacks of diarrhoea. The infection is zoonotic, the source being food of animal origin, especially raw milk. Infection occurs by ingestion. Jejunum and ileum are the primary sites of colonisation, but may spread down to colon and rectum. It is an invasive pathogen and may involve mesentric lymph nodes and cause bacteremia. The incubation period is 1-7 days. The illnesses starts with fever, abdominal pain and watery diarrhoea. Stools contains leukocyte and blood. Fluid and electrolyte replacement is only require. When needed erythromycin is the best antibiotic. Guillain Barre syndrome (GBS) a demyelinating disorder resulting in acute neuromuscular paralysis is a serious sequelae of Campylobacter jejuni infection. C.coli causes an infection clinically indistinguishable from that due to C.jejuni. C.lari distinguished from C.jejuni and C.coli by its resistance to nalidixic acid. Ref: Ananthanarayanan & Paniker's textbook of microbiology Ed 8 Pg - 398.